Glucose — 6 phosphate dehydrogenase deficiency causes
1. Hemophilia
2. Hemolytic anaemia
3. Aplastic anaemia
4. Megaloblastic anemia

Correct answer: 2. Hemolytic anaemia